Bifidus factor present in breast milk protects against:
1. Enteroamoeba histolytica
2. Giardia lamblia
3. Salmonella
4. Vibrio cholerae

Correct answer: 3. Salmonella

Explanation: Components of breast milk Protection against Lysozyme Escherichia coli, Salmonella Entamoeba histolytica Lactoferrin E.coli, Shigella, Salmonella E.histolytica, Giardia lamblia Plasmodium falciparum Rota virus Bifidus factor E.coli, Shigella, Salmonella Low levels of Para-amino benzoic acid Plasmodium Ref: Ghai Essential pediatrics 9th edition Pgno: 145